Endemic ascites cases reported from Madhya Pradesh in 1976 was caused due to:
1. Fusarium
2. Crotalaria
3. Ergot
4. Aflatoxin

Correct answer: 2. Crotalaria

Explanation: Endemic ascites was caused due to contamination of millets with crotalaria (jhunjhunia) seeds which contain hepato toxins such as pyrrolizidine. Ref: Park 21st edition, page 608.